The cycle of malaria parasite is in sequence of:(1) Exoerythrocytic stage(2) Gametocytic stage(3) Erythrocytic stage(4) Sporogony
1. 1,2,3,4
2. 1,3,2,4
3. 1,4,2,3
4. 1,4,3,2

Correct answer: 2. 1,3,2,4

Explanation: Ans. is 'b' i.e., 1,3,2,4(Ref: Chatterjee, 12th/e, d. 73-74)